Drug contraindicated in bilateral renal artery stenosis is:
1. Propranolol
2. Guanethidine
3. Captopril
4. Amlodipine

Correct answer: 3. Captopril